High spinal anaesthesia is associated with?
1. Decreased BP & decreased heart rate
2. Increased BP & decreased heart rate
3. Decreased BP & increased heart rate
4. Increased BP & increased heart rate

Correct answer: 1. Decreased BP & decreased heart rate

Explanation: Ans. is 'a' i.e., Decreased BP & decreased heart rate Spinal anesthesia ascending into the cervical levels (high spinal anesthesia) causes severe hypotension, bradycardia and respiratory insufficiency.Complications of spinal anaesthesia Intraoperative Postoperative Hypotension (mostcommon) Bradycardia10th Respiratorydepression Cardiac arrest Hypothermia in elderly Haedache (post dural puncture headach) - most common Cranial nerve palsies (any cranial nerve except the 1st,9th & most commonly 6th nerve is involved) Cauda equina syndrome Arachnoiditis